Which  is  the  most  characteristic  and  diagnostic  radiographic  finding  associated  with  a 
calcifying epithelial odontogenic tumor?
1. Wispy ill-defined septa
2. Perforation of cortical bone
3. Radiopaque toothlike denticles
4. Radiopacities close to crown of embedded tooth

Correct answer: 4. Radiopacities close to crown of embedded tooth

Explanation: The internal aspect may appear unilocular or multilocular with numerous scattered, radiopaque foci of varying size and density. Some radiopaque elements may have a crescent shape or a doughnut shape with a radiolucent center. The most characteristic and diagnostic finding is the appearance of radiopacities close to the crown of the embedded tooth. In addition, small, thin, opaque trabeculae  may cross the radiolucency in many directions.
Oral radiology White and Pharaoh; 7th ed. Page no 369,370